Gene for Wilms tumor iis located on
1. Chromosome 1
2. Chromosome 10
3. Chromosome 11
4. Chromosome 12

Correct answer: 3. Chromosome 11

Explanation: characterized by Wilms tumor, aniridia, genital anomalies, and mental retardation. Their lifetime risk of developing Wilms tumor is approximately 33%. Individuals with WAGR syndrome carry constitutional (germline) deletions of 11p13. Studies on these patients led to the identification of the first Wilms tumor-associated gene, WT1, and a contiguously deleted autosomal dominant gene for aniridia, PAX6, both located on chromosome 11p13. Patients with deletions restricted to PAX6, with normal WT1 function, develop sporadic aniridia, but they are not at increased risk for Wilms tumors Refer Robbins 9/e 481